Moebius syndrome in fetus occurs due to maternal intake of:
1. Mifepristone
2. Misoprostol
3. DES
4. Methotrexate

Correct answer: 2. Misoprostol

Explanation: Moebius syndrome results from the underdevelopment of the VI and VII cranial nerves. It is characterized by facial paralysis and there is inability to move the eyes from side to side. Most people with this syndrome are born with complete facial paralysis and cannot close their eyes or form facial expressions. There is a strong association between Moebius syndrome and antenatal use of Misoprostol.